Most accepted theory for conduction of pain is
1. Gate control theory
2. Specifity theory
3. Membrane stabilization theory
4. None of the above

Correct answer: 1. Gate control theory